Feature of microscopic polyangitis is-
1. IgG deposits in kidney
2. Bronchospasm
3. Renal involvement in 90% cases
4. All of the above

Correct answer: 3. Renal involvement in 90% cases